Most common virus causing common cold
1. Adenovirus
2. Rhinovirus
3. Influenza virus
4. Respiratory syncytial virus

Correct answer: 2. Rhinovirus

Explanation: The rhinovirus is the most common viral infectious agent in humans and is the predominant cause of common cold. Rhinovirus infection proliferates in temperatures of 33-35deg, the temperature found in nose. Rhinoviruses belong to the genus Enterovirus in the family picornaviridae. Ref : Essentials of Medical microbiology apurba sastry 1st edition